Submandibular gland is roughly J shaped gland situated in:
1. Submental triangle.
2. Digastric triangle.
3. Muscular triangle.
4. None.

Correct answer: 2. Digastric triangle.